All of the following statements are true about Wiskott Aldrich syndrome, except:
1. Autosomal recessive disorder
2. Low serum IgM level
3. Thrombocytopenia
4. Eczema

Correct answer: 1. Autosomal recessive disorder

Explanation: Wiskott-Aldrich syndrome X-linked recessive disease Characterized by thrombocytopenia, eczema, and a marked vulnerability to recurrent infection Mutation in gene encoding Wiskott-Aldrich syndrome protein (WASP), which is located at Xp11.23. IgM levels in the serum are low, but levels of IgG are usually normal. Paradoxically the levels of IgA and IgE are often elevated. The only treatment is HSC transplantation.